Common carotid artery is derived from
1. Distal part of 3rd Arch Artery and Cervical part of Dorsal Aorta
2. As a bud from 3rd Arch Artery
3. Proximal part of 3rd Arch Artery
4. Truncus Arteriosus

Correct answer: 3. Proximal part of 3rd Arch Artery

Explanation: The common carotid artery is derived, on either side, from part of the third arch artery, proximal to the external carotid bud.The internal carotid artery is formed by the portion of the third arch artery distal to the budReference: Inderbir Singh Embryology; 10th edition; Page no: 260